Cresentic glomerular deposits are seen in ?
1. Wegener's granulomatosis
2. Polyarteritis nodosa
3. Thrombangitis obliterans
4. All of the above

Correct answer: 1. Wegener's granulomatosis

Explanation: Ans. is 'a' i.e., Wegener's granulomatosis Wegener's granulomatosis causes RPGN, which is characterized by the presence of cresents in the glomeruli.